Which of the following do polycarboxylate and GIC have in common?
1. Polysiloxane
2. Phosphoric acid
3. Polyacrylic acid
4. Ion leachable glass

Correct answer: 3. Polyacrylic acid